Symbolic stripped 'Y' classification for cleft Lip and palate was given by
1. Veou
2. Kernahan
3. Jackson
4. Edward H. Angle

Correct answer: 2. Kernahan